A drug following first order kinetics is being administered by constant i.v. infusion at a rate of 10 mg/min. Its steady state plasma concentration is 2 mg/min. If the dose rate is increased to 20 mg/dl, what will be the new steady state plasma concentration ?
1. 6 mg/dl
2. 4 mg/dl
3. 3 mg/dl
4. 1 mg/dl

Correct answer: 2. 4 mg/dl